Intravenous (I.V.) Mannitol is used in which of the following conditions
1. CRAO
2. Congestive heart Failure
3. Angle closure glaucoma
4. Pulmonary edema

Correct answer: 3. Angle closure glaucoma

Explanation: Ans. (c) Angle closure glaucoma(Ref: Multiple)Ideally, I.V. mannitol can be used in all the conditions listed in the question, but it is the primary treatment (amongst the options given) in cases of angle closure glaucoma to reduce the very high IOP in acute presentations.Mannitol has four Food and Drug Administration (FDA)- approved uses:* For the reduction of intracranial pressure and brain mass.* To reduce intraocular pressure if this is not achievable by other means.* To promote diuresis for acute renal failure to prevent or treat the oliguric phase before irreversible damage.* To promote diuresis to promote excretion of toxic substances, materials, and metabolites.